Low molecular weight heparin therapy is associated with all except -
1. Less chances of bleeding
2. Single dose per day
3. Easy filterability by glomerular capillaries
4. High biological interaction to plasma proteins

Correct answer: 4. High biological interaction to plasma proteins

Explanation: Ans is d i.e., High biological interaction to plasma proteins Advantages of LMWH Longer, more consistent and predictable response --> Single daily dose is sufficient by subcutaneous route. o Lower risk of osteoporosis and HIT syndrome. o Bleeding chances are less : LMW heparins have a different anticoagulant profile. They selectively inhibit factor Xa with little effect on antithrombin and coagulation in general. They act only by inducing conformational change in AT III. They appear to have lesser antiplatelet action. As a result they have a small effect on a PTT and whole blood clotting time. Since a PTT/clotting times are not prolonged (much) laboratory monitoring is not needed, and the incidence of haemorrhagic complication is less. They are easily filtered from glomerular capillaries because of there smaller molecular weight. LMW heparins do not interact with plasma proteins.